Which of the following is an absolute indication for hemodialysis?
1. Hypertension
2. Hyperkalemia
3. Pericarditis
4. Metabolic alkalosis

Correct answer: 3. Pericarditis

Explanation: Indications for emergency dialysis is AEIOU-G Acidosis Acidosis refractory to medical therapy. If severe (pH < 7.2 and refractory to HCO3 or unable to give HCO3 due to volume overload) or symptomatic (arrhythmias). Electrolytes Especially potassium with EKG changes.ONLY Intractable hyperkalemia (not Responding to Potassium-binding resins)requires dialysis Ingestions ause renal failure such as salicylates or ethylene glycol Overload Volume overload causing pulmonary edema. Uremia Confusion,pericarditis, seizures,Platelet dysfunction -Severe bleeding diathesis GFR GFR < 10 mL/min/1.73 m2 (no benefit to initiating dialysis pre-emptively at a GFR of 10-14 mL/min per 1.73 m2) Hyperkalemia per se is not an indication but Refractory hyperkalemia is an indication for dialysis.